Jarisch-Herxhemer reaction is seen in syphilis with:
1. Tetracyclines
2. Penicillins
3. Co-trimoxazole
4. Sulfonamides

Correct answer: 2. Penicillins

Explanation: Jarisch-Herxheimer reaction Penicillin injected in a syphilitic patient (particularly secondary syphilis) may produce shivering, fever, myalgia, exacerbation of lesions, even vascular collapse. This is due to sudden release of spirochetal lytic products and lasts for 12-72 hours. It does not recur and does not need interruption of therapy Aspirin and sedation afford relief of symptoms. Essentials of medical pharmacology K D Tripathi Sixth edition Pg no 698